Talipes equinovarus is -
1. Equinus, inversion, abduction
2. Equines, inversion, adduction
3. Equines, eversion, adduction
4. Equines, eversion, abduction

Correct answer: 2. Equines, inversion, adduction

Explanation: CTEV is the commonest and most important congenital deformity of the foot.
The deformity consists of following elements :-


Equinus, i.e. Plantar flexion at ankle joint (tibiotalar joint)
Inversion of foot at subtalar joint (talocalcaneal joint)
Forefoot adduction, at mid-tarsal joints, especially at talo-navicular joint.
Sometimes forefoot cavus, i.e. excessive arching of the foot at mid-tarsal joints.